Loeffler's syndrome occurs in all except
1. Toxocara
2. Stongyloides
3. Ascaris
4. Giardia

Correct answer: 4. Giardia

Explanation: *Giardia lamblia -intestinal flagellate,causing intestinal infection. *Loeffler syndrome- inflammatory and hypersensitivity reaction in the lungs lead to cough ,fever, dyspnoea and eosinophilia *toxocara causes visceral larva migrans . ref:Baveja textbook of parasitology 3rd edition.